Which one of the following is detected by the antigen detection test used for the diagnosis of P. falciparum malaria -
1. Circum-sporozoite protein
2. Merozoite surface antigen
3. Histidine-Rich-Protein I (HRP-I)
4. Histidine-Rich-Protein II (HRP-II)

Correct answer: 4. Histidine-Rich-Protein II (HRP-II)

Explanation: Antigen detection tests [Rapid diagnostic tests (RDTs) or Immunochromatographic tests (ICTs)

Rapid and simple but less sensitive, costly and may give false +ve in RA factor +ve cases
pLDH and Aldolase: Common to all Plasmodium species
HRP-2 Ag detection: Specific for P.falciparum